Splenectomy is indicated in :
1. Primary hyeprplenism
2. Hereditary spherocytosis
3. I.T.P.
4. All

Correct answer: 4. All

Explanation: Ans. is ' a ' , ' b ' , ' c ' i.e. Primary hyeprplenism, Hereditary spherocytosis, I.T.P.